The rate of the yearly occurrence of dental Caries attack is referred to as: (or) No. of new caries cases occurring within one year in a patient is referred to as:
1. Caries mortality
2. Caries experience
3. Incidence of caries
4. Caries prevalence

Correct answer: 3. Incidence of caries